The function of Langerhan's cells is
1. Melanin synthesis
2. Protein synthesis
3. Antigen presentation to neutrophils
4. Antigen presentation to lymphocytes

Correct answer: 4. Antigen presentation to lymphocytes